Which of the following hallucinations is pathognomonic of schizophrenia :
1. Auditory hallucinations commanding the patient
2. Auditory hallucinations giving running commentry
3. Auditory hallucinations criticizing the patient
4. Auditory hallucinations talking to patient

Correct answer: 2. Auditory hallucinations giving running commentry

Explanation: B. i.e. Auditory hallucinations giving running commentary